The inclination of teeth towards Frankfort horizontal plane in Simon's classification is
1. Attraction
2. Protraction
3. Retraction
4. Distraction

Correct answer: 1. Attraction